Which of the following neuromuscular blocker is most cardiostable-
1. Vecuronium
2. d-tubocurare
3. Atracurium
4. Pancuronium

Correct answer: 1. Vecuronium

Explanation: Benzylisoquinoline group causes histamine release so associated with hypotension and tachycardia. Aminosteroid group - no histamine release in aminosteroid group only pancuronium causes vagal blockade - Hypertension and Tachycardia.